Peeping tom is punishable under:
1. Section 290 IPC
2. Section 294 IPC
3. Section 354 C IPC
4. Section 354 D IPC

Correct answer: 3. Section 354 C IPC

Explanation: Ans. (C). Section 354 C IPCSection 290 IPC - Punishment for frotteurismSection 294 IPC - Punishment for ExhibitionismSection 354 C IPC - Punishment for voyeurismSection 354 D IPC - Punishment for stalking